Following are the leatures ot inhlbln except :
1. Non steroidal water soluble protein
2. Secreted by Graftian follicle
3. Stimulates FSH secretion
4. Increased secretion of inhibin occurs in polycystic ovarian disease

Correct answer: 3. Stimulates FSH secretion

Explanation: Stimulates FSH secretion Inhibin : Inhibin is a non-steroidal water soluble protein.deg It is secreted by Graffian follicle.deg Also known as Folliculostatin because it is known to supress FSH.deg It is of two types - Inhibin A and B. In the follicular phase Inhibin B is the predominant form secreted. In normal ovarian folliculogenesis, FSH and LH initiate secretion of estrogen by the graffian follicle (granulosa cells). Estrogen is responsible for secretion of inhibin in graffian follicle which in turn supresses FSH and stimulates LH secretion. Inhibin may have important role in control of fertility in both males and females as it can delay follicuogenesis, inhibit ovulation and lutenisation. It causes agglutination of sperm. prevent sperm penetration to cervical mucus and interferes with egg agglutination.